Cause(s) of Ophisthotonus is/are:
1. Cocaine
2. Strychnos Nux Vomica seed
3. Codeine
4. Curare

Correct answer: 2. Strychnos Nux Vomica seed

Explanation: TONUS SEEN IN STRYCHNOS NUX VOMICA / KUCHILA : OpisthotonusQ - Backward bending of spine. emprosthotonusQ - Forward flexion of spine. pleurosthotonusQ - Lateral flexion of spine.